Which of the following is the 'Least common' complication of measles?
1. Diarrhoea
2. Pneumonia
3. Otitis media
4. SSPE

Correct answer: 4. SSPE

Explanation: Ans. is 'd' i.e. SSPE SSPE is a rare complication of measles (~ 1 in 100,000 cases)"The most common complications are measles-associated diarrhoea, pneumonia and other respiratory complications and otitis media" - Park